Drug commonly used against enteric fever are all except-
1. Amikacin
2. Ciprofloxacin
3. Ceftriaxone
4. Azithromycin

Correct answer: 1. Amikacin

Explanation: Aminoglycosides are not given for enteric fever